Scutula is classically observed in wof
1. Favus
2. Small spore ectothrix
3. Endothrix
4. Kerion

Correct answer: 1. Favus

Explanation: Favus:- *Characterized by presence of foul- smelling, Yellow cup-shaped crusting (scutula) on scalp; arthroconidia and airspaces within hair shaft . * often results in cicatricial alopecia. Causative organism:- T. schoenleinii > M. gypseum, T. violaceum. Ref:- Review of Dermatology by Alikhan; pg num:- 305,306